All of the following statements about Lymphoepethelioma are true, Except
1. Parotid gland is the most common site of Lymphoepethelioma in the Head & Neck region
2. It is associated with EBV infection
3. It is highly radiosensitive
4. It is a type of squammous cell carcinoma

Correct answer: 1. Parotid gland is the most common site of Lymphoepethelioma in the Head & Neck region

Explanation: Ans is A i.e. Parotid gland is the most common site of Lymphoepithelioma in the Head & Neck region "Lymphoepithelioma is a carcinoma with a lymphoid stroma and occurs in the nasopharynx, tonsillar fossa, and base of tongue; it may also occur in the salivary glands. In the spindle cell variant, found in 2% to 5% of upper aerodigestive tract malignancies, there is a component of spindle cells that resemble sarcoma intermixed with squamous cell carcinoma. The disease is generally managed like other high-grade squamous cell cancers, but otherwise disregard the spindle cell element in treatment decisions."- Devita's Oncology Lymphoepithelioma Lymphoepithelioma is a variant of squamous cell carcinoma that arises in lymphoid bearing areas. It is found in nasopharynx, tonsillar fossa and base of tongue and rarely in the salivary glands. Association have been found with EBV when this tumor is located in the nasopharynx. Lymphoepithelioma are found to be highly radiosensitive.